Hot flush is not associated with
1. Medical castration
2. Surgical castration
3. Ketoconazole therapy
4. Radical prostectomy

Correct answer: 4. Radical prostectomy

Explanation: Hot flashes Hot flashes (also called hot flushes, vasomotor symptoms) have been recognized as a side effect of androgen ablation (medical or surgical) Described as a subjective feeling of warmth in the upper torso and head followed by objective perspiration Are among the most common side effects of androgen ablation, affecting between 50% and 80% of patients Treatment of hot flushes should be reserved for those who find them bothersome Drugs used for treatment : DES, oral progestogen, cyproterone acetate, clonidine, sertraline, venlafaxine Ref: Bailey and love 27th edition Pgno : 1473